Which of the following passes through the foramen magnum?
1. Vertebral artery
2. XII cranial nerve
3. Cranial part XIth nerve
4. Internal carotid artery

Correct answer: 1. Vertebral artery

Explanation: Foramen magnum transmits Lower end of medulla Anterior spinal artery Posterior spinal artery 4th part of vertebral artery Spinal part of XIth nerve Other structures: Apical ligament and tip of dens, membrana tectoria, vertical band of Cruciate Ligament.